Which of the following duct commences in the abdomen as an elongated lymph sac of the cisterna chyli
1. Thoracic duct
2. Gartner's duct
3. Bile duct
4. Hepatic duct

Correct answer: 1. Thoracic duct

Explanation: At the upper end of cysterna chyli, thoracic duct begins.